Most common cancer in liver is
1. Papilloma
2. Hepatic adenoma
3. Metastasis
4. Cavernous Hemangioma

Correct answer: 3. Metastasis

Explanation: Answer- C. MetastasisMost commonhqtatic neoplasm is metastasis.Most common primary benig nlesion of liver is cavernous hemangioma.Most common primary malignant lesion of liver is hepatocellular carcinoma.Most common primary hepatic tumor of children is hepatoblastoma.